Voyeurism is ?
1. Sexual gratification by watching the act of sexual intercourse
2. Use of such objects for sexual gratification
3. Sexual gratification is by self pain
4. Sexual gratification by rubbing private part

Correct answer: 1. Sexual gratification by watching the act of sexual intercourse

Explanation: Ans. is 'a' i.e., Sexual gratification by watching the act of sexual intercourse Voyeurism ( Scoptophilia, Peeping tom) : Sexual gratification is obtained by looking at the sexual organs of other persons, watching the act of sexual intercourse, or witnessing undressing by a woman.